Which of the following is organ specific -
1. SLE
2. RA
3. Good pasture's syndrome
4. PAN

Correct answer: 3. Good pasture's syndrome

Explanation: Ans. is 'c' i.e., Good pasture syndrome The autoimmune disorder may be of two types ? Organ specific --> The immune response is directed against a single organ or tissue. Systemic or generalized --> The immune response is widspread in the body. Organ - specific Hashimoto thyroiditis o Autoimmune hemolytic anemia o Pernicious anemia Multiple sclerosis Goodpasture syndrome Autoimmune thrombocytopenia o I DDM Mysthenia gravis o Primary biliary cirrhosis Graves disease Autoimmune hepatitis o Ulcerative colitis Systemic SLE RA Sjogren syndrome Systemic sclerosis Reiter syndrome PAN Inflammatory myopathies C.) Wegner's granulomatosis